Antibiotic prophylaxis is recommended to prevent infective endocarditis in all dental procedures in patients having
1. Previous coronory bypass surgery
2. Congestive cardiac failure
3. Prosthetic heart valves
4. Mitral valve prolapse syndrome

Correct answer: 3. Prosthetic heart valves